Culex tritaenorrhyncus transmits -
1. Dengue fever
2. Yellow fever
3. KFD
4. Japanese encephalitis

Correct answer: 4. Japanese encephalitis

Explanation: Vector Diseases transmitted Culex Bancroftian filariasis JE West Nile Fever Anopheles Malaria Filaria (outside India) Aedes Yellow fever Dengue Chikungunya Rift Valley Fever Mansonia Brugian filariasis and Chikungunya REF: PARK'S TEXTBOOK OF PREVENTIVE AND SOCIAL MEDICINE, 25TH EDITION, PG NO. 832